Endothelial cells synthesize:
1. Fibrinogen
2. Von Willebrands Factor
3. Factor-X
4. Factor-XII

Correct answer: 2. Von Willebrands Factor

Explanation: Von Willebrands Factor